The commonest site of liquefactive necrosis is
1. Kidney
2. Liver
3. Spleen
4. Brain

Correct answer: 4. Brain

Explanation: NECROSIS
■ Enzymatic degradation of a cell resulting from exogenous injury.
■ Characterized by enzymatic digestion and protein denaturation, with the release of intracellular components.
■ Morphologically occurs as coagulative (heart, liver, kidney), liquefactive (brain), caseous (tuberculosis), fat (pancreas), fibrinoid (blood vessels), or gangrenous (limbs, GI tract).
■ Kidney infarct exhibiting coagulative necrosis will be seen with loss of nuclei and clumping of cytoplasm but with preservation of basic outlines of glomerular and tubular architecture.
■ Liquefactive necrosis in the kidney can be caused by fungal infection, which will be seen filled with white cells and cellular debris, creating a renal abscess that obliterates the normal architecture.